The end product of even chain fatty acid oxidation is which of the following coenzymes?
1. Acetyl Co-A
2. Propionyl Co-A
3. Malonyl Co-A
4. None of the above

Correct answer: 1. Acetyl Co-A

Explanation: Beta oxidation of even chain fatty acids will give a molecule of acetyl Co-A and odd chain fatty acid will give propionyl Co-A.